True statement related to expiry date of a drug is:-
1. It is the date up to which the drug is likely to be fully potent and safe to take based on scientifically-sound product testing, if stored properly.
2. Maximum period of expiry is 3 years from the date of manufacture
3. After expiry period, there is a fall in efficacy of drug
4. After expiry period, drug changes to more toxic compounds.

Correct answer: 1. It is the date up to which the drug is likely to be fully potent and safe to take based on scientifically-sound product testing, if stored properly.

Explanation: Expiry date: It is the date up to which the active ingredient is expected to remain within specification if stored correctly. The drug can be used by the last date of that particular month displayed by expiry date (if exact date is not specified) The drugs may remain potent, efficacious as well as safe after expiry date, but the manufacturer does not give guarantee. There is no maximum period for expiry date.